All of the followoing non-mycobacterial microorganisms display acid fastness, EXCEPT:
1. Nocardia
2. Fusobacterium nucleatum
3. Rhodococcus
4. Isospora

Correct answer: 2. Fusobacterium nucleatum

Explanation: Microorganisms other than mycobacteria that display some acid fastness includes Nocardia, Rhodococcus, Legionella micdadei, Protozoa Isospora and Cryptosporidium. Reference: Harrisons Principles of Internal Medicine, 18th Edition, Page 1340